Tyrosine deficiency causes ?
1. Depression
2. Hyperthyroidism
3. Hyperpigmentation
4. Phenylketonuria

Correct answer: 1. Depression

Explanation: Ans. is 'a' i.e., Depression Tyrosine deficiency causes hypothyroidism (lethargy, weight gain) as tyrosine is required for T3 & T4; depression (due to dopamine deficiency); albinism & hair hypopigmentation (due to deficiency of melanin); and stunted growth (as tyrosine is a component of proteins).